Danbury tremor is seen in?
1. Mercury poisoning
2. Iron poisoning
3. Lead poisoning
4. Arsenic poisoning

Correct answer: 1. Mercury poisoning

Explanation: Mercury poisoning :- Danbury tremor is a classical and consistent manifestation of mercury poisoning. Coarse intentional tremor interspersed with jerky movements. It begins in the hand and progresses to lips, tongue, arms and legs.